The drug possessing antagonistic action at histamine, serotonin and muscarinic receptors is :
1. Promethazine
2. Terfenadine
3. Cyproheptadine
4. Hydroxyzine

Correct answer: 3. Cyproheptadine